Glucose intolerance is seen with:
1. Thiazide diuretics
2. Beta blockers
3. Phenytoin
4. All of the above

Correct answer: 4. All of the above

Explanation: Thiazides among diuretics produces hyperglycemia beta blockers inhibit insulin release phenytoin also produce hyperglycemia REF kd TRIPATHI 8th ed